A 20 yr old female presents with primary amenorrhea. She has low LH, FSH, estrodial levels. She has anosmia and no secondary sex characteristics on examination. What is the likely diagnosis?
1. Kartagener syndrome
2. Kallman syndrome
3. Alport's syndrome
4. None

Correct answer: 2. Kallman syndrome

Explanation: Kallmann syndrome Kallmann syndrome is caused from defective gonadotropin releasing hormone (GnRH) synthesis. Clinical features- Anaemia & hyposmia due to olfactory bulb agenesis & hypophasia. Color blindness, optic atrophy, nerve deafness. Cleft palate, cryptoorchidism & mirror movements (neurological defects) In males- delayed puberty, micropenis. In females- primary amenorrhea, failure of secondary sexual development. Low LH & FSH levels & sex steroids.